Regarding termination of drug action
1. Drugs must be excreted from the body to terminate their action
2. Metabolism of drugs always abolishes their Pharmalogical activity
3. Hepatic metabolism and renal excretion are the two most important mechanism involved
4. Distribution of a drug out of bloodstream terminated drugs effect

Correct answer: 3. Hepatic metabolism and renal excretion are the two most important mechanism involved

Explanation: Ref-KDT 6/e p23 Action of drug can be terminated by hepatic metabolism or by anal excretion. Most of the dexa inactivated by metabolism. However some Ducks may be activated from inactive form (prodrugs) and others may produce active metabolite Some drugs martin activate from Blood example decoction lives bloodstream and enters the heart to produce it's action